Box and whisker plot is also known as
1. Magical box
2. Four summary plot
3. Five summary plot
4. None of the above

Correct answer: 3. Five summary plot

Explanation: A box and whisker plot--also called a box plot--displays the five-number summary of a set of data. The five-number summary is the minimum, first quartile, median, third quartile, and maximum. In a box plot, we draw a box from the first quartile to the third quartile. A vertical line goes through the box at the median. Ref :https://en.m.wikipedia.org/wiki/Five-number_summary